Hilar Lymph nodes showing egg shell calcification are seen in all accept?
1. Sarcoidosis
2. Aspergillosis
3. Histoplasmosis
4. Radiation induced mediastinal Lymphoma

Correct answer: 2. Aspergillosis

Explanation: Egg shell calcification of Hilar Lymph nodes is not seen in Aspergillosis.